Pellagra symptoms are aggravated if diet contains?
1. High amount of leucine
2. High amount of lysine
3. Low amount of leucine
4. Low amount of lysine

Correct answer: 1. High amount of leucine

Explanation: Ans. (a) High amount of leucineRef Harrison's 18/e, chapter 24, Textbook